During TURP, surgeon takes care to dissect above the verumontanum to prevent injury to :
1. Urethral crest
2. Trigone of bladder
3. External urethral sphincter
4. Prostatic utricle

Correct answer: 3. External urethral sphincter

Explanation: Verumontanum is midline elevation on the posterior wall of the prostatic urethra. It acts as a surgical landmark. It lies immediately proximal to the external urethral sphincter. It thus serves as a distal landmark for prostatic resection in TURP to prevent injury to the external urethral sphincter. "The verumontanum serves as a significant landmark to stop resection because the external urethral sphincter lies just distal to it." Ref - Reoperative Pelvic Surgery By Richard P. Billingham p225